When blocking a nerve containing both motor and sensory fibres, the last functional property to be lost is?
1. Temperature
2. Pain
3. Proprioception
4. Touch

Correct answer: 3. Proprioception